Amongst the given renal conditions, the one presenting as nephritic syndrome is:
1. Postinfectious glomerulonephritis
2. Membranous nephropathy
3. Minimal change disease
4. Focal segmental glomerulosclerosis

Correct answer: 1. Postinfectious glomerulonephritis

Explanation: Nephritic syndrome: Post streptococcal Glomerulonephritis (PSGN) Rapidly progressive Glomerulonephritis (RPGN) Diffuse proliferative Glomerulonephritis (DPGN) Berger's disease / IgA Nephropathy Membranoproliferative Glomerulonephritis Nephrotic syndrome: Minimal change disease Focal segmental glomerulosclerosis Membranous nephropathy